First force applied for extraction of tooth is:
1. Buccal.
2. Lingual.
3. Apical.
4. Palatal.

Correct answer: 3. Apical.